True about plummer-vinson syndrome -a) Microcytic hypochronic anemia b) Sideroblastic anemiac)  Common in old aged) Post cricoid carcinoma is commone) Oesophageal webs
1. acd
2. bde
3. ade
4. ad

Correct answer: 3. ade